Which of the following hormone is not secreted by the kidney
1. Renin
2. Angiotensin – I
3. Erythropoietin
4. 1, 25 DHCC

Correct answer: 2. Angiotensin – I

Explanation: Angiotensinogen is produced by liver and then converted to Angiotensin I.
Hormones secreted by Kidney

Renin
Erythropoietin
1,25 DHCC